. Aniseikonia refers to
1. Difference in the corneal diameter
2. Difference in the image size (retinal image
3. Difference in the refractive power
4. Difference in image colour

Correct answer: 2. Difference in the image size (retinal image

Explanation: Ans. Difference in the image size (retinal image